Finishing of composite can be done after:
1. 10 minutes of curing
2. 5 minutes of curing
3. 15 minutes of curing
4. 20 minutes of curing

Correct answer: 3. 15 minutes of curing

Explanation: All composite restorations should be finished and polished shortly after placement during the same appointment, although the finishing should be delayed for approximately 15 minutes after curing.
Phillips Dental materials 12th edition pg no 299